Primary motor area of brain is supplied by
1. Anterior cerebral artery
2. Middle cerebral artery
3. Anterior and middle cerebral artery
4. Anterior and posterior cerebral artery

Correct answer: 3. Anterior and middle cerebral artery

Explanation: Greater part of lateral surface receives supply from middle cerebral artery, whearas medial surface of cerebrum is majorly supplied by anterior cerebral artery The upper limb and head Are represented on the lateral surface of the cortex in homunculus, whereas pelvis and lower limb are on the medial surface of the hemispheres. Therefore the motor and sensory functions of the lower limb are supplied by the anterior cerebral artery while the motor and sensory functions of the upper limb and head are supplied by the middle cerebral artery. Ref: Gray's 39e/p-227